ADRs of anticholinergics are all except
1. Dry mouth
2. Diarrhoea
3. Constipation
4. Sedation

Correct answer: 2. Diarrhoea

Explanation: Diarrhoea is a cholinergic effect .not an anticholinergic effect Ref: KDT 6th ed pg 113